Left heart failure findings are all except -
1. Kerley B Lines
2. Redistribution of blood vessels to apex
3. Oligemic lung field
4. Cardiomegaly

Correct answer: 3. Oligemic lung field

Explanation: Left heart failure includes cardiomegaly , kerley B lines , Redistribution of blood vessel to apex. central pulmonary venous congestion * cephalisation of pulmonary veins * pulmonary interstitial edema * pulmonary alveolar edema * cardiomegaly (may or may not be present depending on etiology